A 70-year-old man presented to medicine emergency with worsening cough and difficulty in breathing especially at night. On physical examination, raised JVP is noted with bipedal edema. Abdominal examination reveals hepatomegaly. USG was done which reveals hepatomegaly ms. 16.8 cm. USG guided biopsy was carried out. The patient could not be resuscitated. The gross and HPE is shown below. What is the most common eitiology for the patient's clinical condition? Right heart failure Hepatitis A Riedel lobe of liver Metabolic disease of liver.
1. Right heart failure
2. Hepatitis A
3. Riedel lobe of liver
4. Metabolic disease of liver.

Correct answer: 1. Right heart failure

Explanation: Nutmeg liver: Centri-lobular region is depressed (cell death) with adjacent parenchymal accentuation giving this appearance. HPE: Centri-lobular hemorrhage, with variable degree of hepatocyte necrosis and drop outs. Most common cause is right heart failure (increases IVC pressure, that increases central venous pressure and congestion in liver) and left heart failure ( hypoperfusion and ischemia) Right-sided heart failure leads to passive congestion of the liver. On gross examination: liver is mildly enlarged and cyanotic. It often has rounded edges. Microscopically there is congestion of centrilobular sinusoids. Later, hepatocytes become atrophic, resulting in markedly attenuated liver cell plates. Left-sided heart failure or shock: causes liver hypoperfusion and hypoxia, leading to ischemic coagulative necrosis of hepatocytes in the central region of the lobule which is the centrilobular necrosis. Clinically evident as transient elevation of serum aminotransferases or jaundice